Post coital test is useful for evaluating the following factors, EXCEPT:
1. Fallopian tube block
2. Cervical factor abnormality Sperm count
3. Sperm count
4. Sperm abnormality

Correct answer: 1. Fallopian tube block

Explanation: Testing for tubal patency can be performed by hysterosalpingography (HSG) or by chromotubation during laparoscopy. Post coital test orSims-Huhner test is used to evaluate cervical mucus. In the presence of high estrogen levels, the mucus should be copious and relatively clear. Mucus should be able to be stretched to >5 cm after being placed between two glass slides. At least five motile sperm per high-power field should be visible under the microscope. There should be a minimal number of other cell types, such as inflammatory cells. When dried, the mucus should form a ferning pattern. Ref: Hoffman B.L., Schorge J.O., Schaffer J.I., Halvorson L.M., Bradshaw K.D., Cunningham F.G., Calver L.E. (2012). Chapter 19. Evaluation of the Infertile Couple. In B.L. Hoffman, J.O. Schorge, J.I. Schaffer, L.M. Halvorson, K.D. Bradshaw, F.G. Cunningham, L.E. Calver (Eds), Williams Gynecology, 2e.